Casoni test is positive in:
1. Diphtheria
2. Scarlet fever
3. Echinococcus
4. Kala Azar

Correct answer: 3. Echinococcus

Explanation: Echinococcus